All of the following cephalosporins have a good activity against pseudomonas aeruginosa EXCEPT:
1. Cephadroxil
2. Cefipime
3. Cefoperazone
4. Ceftazidime

Correct answer: 1. Cephadroxil

Explanation: Ans. A i.e. Cephadroxil